Cause of False positive D-xylose test include all of the following, Except
1. Bacterial overgrowth
2. Renal failure
3. Ascitis
4. Celiac sprue

Correct answer: 4. Celiac sprue

Explanation: Answer is D (Celiac sprue) Celiac sprue is associated with a positive D- xylose and not a False positive Dxylose test. D-xylose Test Positive test ecreased (4) D- Xylose excretion in urine due to malabsorption from gastrointestinal mucosal disease Causes Include Celiac disease Tropical sprue Whipple's disease Other mucosal diseases